Risk factors associated with post-operative nausea and vomiting following strabismus surgery' are all except-
1. Age < 3years
2. Duration of anesthesia >30 mins
3. Personal or family history of post - op nausea and vomiting
4. Personal or fami ly history of motion sickness

Correct answer: 1. Age < 3years

Explanation: Ans. is 'a' i.e., Age < 3 years Post operative nausea and vomiting (PONY) following strabismus surgeryo It can cause post - op wound dehiscence, hematoma, orbital hemorrhage and aspiration,o 30 % of all procedures are associated with PONV.o Major risk factors are:Age > 3yearsDuration of anesthesia > 30 minsPersonal or family history of post - op nausea and vomitingPersonal or family history of motion sicknessMedical management of PONV includes: dimenhydrinate, metoclopramide, droperidol, dexamethasone, ondansatron.